Which of the following is the commonest cause of anterior compartment syndrome?
1. Fractures
2. Gas gangrene
3. Superficial injury to muscles
4. Operative trauma

Correct answer: 1. Fractures

Explanation: Anterior compartment syndrome can be caused by a tibial fracture or a high-velocity blow to the anterior compartment of the leg, resulting in increased pressure in the anterior compartment of the leg. Because the fascia covering the anterior compartment is unable to expand, pressure continues to build, causing restricted blood flow and eventual necrosis of tissues. If untreated, anterior compartment syndrome can result in amputation of the limb. Ref: Morton D.A., Foreman K.B., Albertine K.H. (2011). Chapter 37. Leg. In D.A. Morton, K.B. Foreman, K.H. Albertine (Eds), The Big Picture: Gross Anatomy.